Factor V mutation is commonly associated with:-
1. Hemarthrosis
2. Hematemesis
3. Thrombosis
4. Epistaxis

Correct answer: 3. Thrombosis

Explanation: Factor V mutation also called as leiden's mutation Leiden's mutation is characterized by substitution of amino acid at the position 506 Arginine at this position is replaced by glutamine Protein C and S inhibit the activity of Factor V and VIII In Factor V mutation, Factor V gets resistant to the action of protein C and S, then Factor V won't get inhibited, which is responsible for causing higher risk of development of thrombosis Inheritable causes of hypercoagulability Factor V mutation (commonest) Mutation in the activity of homocysteine Mutation in the activity of prothrombin gene